Macropolycyte in peripheral smear is a feature
1. Hereditary sherocytosis
2. Iron deficiency anaemia
3. Sickle cell anaemia
4. Megaloblastic anaemia

Correct answer: 4. Megaloblastic anaemia